Spider web fracture is commonly called as
1. Fissured fracture
2. Comminuted fracture
3. Ring fracture
4. Signature fracture

Correct answer: 2. Comminuted fracture

Explanation: Comminuted fracture ( spider web fracture/mosaic fracture) In this type of fracture, the skull bone is fractured into more than two pieces. Usually there will be two or more fracture lines. It is caused by vehicular accidents, fall from height or blow on head with heavy objects. Ref: FORENSIC MEDICINE AND TOXICOLOGY Dr PC IGNATIUS THIRD EDITION PAGE 162